Which of the following are responsible for conduction of pain impulse?
1. Alpha
2. beta
3. delta
4. gamma

Correct answer: 3. delta